The most common termination of lobar pneumonia is:
1. Consolidation
2. Resolution
3. Abcess formation
4. Empyema

Correct answer: 2. Resolution

Explanation: Ans: b (Resolution)Ref: Robbin's, 7thed, p. 750 & 6thed, p. 720Resolution- exudates undergo enzymatic digestion.